Basic lesion in tobacco amblyopia is:
1. Degeneration of ganglion cells especially of macular region
2. Degeneration of foveal cones
3. Ischaemia of optic nerve fibres
4. All of the above

Correct answer: 1. Degeneration of ganglion cells especially of macular region

Explanation: Ans. Degeneration of ganglion cells especially of macular region